Pappenheimer bodies are composed of?
1. Copper
2. Zinc
3. Iron
4. Lead

Correct answer: 3. Iron

Explanation: Pappenheimer bodies are seen in siderocytes.Siderocytes are red cells containing granules of non haem iron. Reference: textbook of Pathology ,7th edition ,author Harsha Mohan,page number 277